A toxin of clostridium tetanus, tetanospasmin causes muscular rigidity by blocking
1. Gamma amino butyric acid
2. Dopamine
3. Serotonin
4. Glutamine

Correct answer: 1. Gamma amino butyric acid